All of the following may be used to differentiate central retinal venous occlusion (CRVO) from ocular ischemic syndrome due to carotidaery stenosis, except:
1. Dilated retinal vein
2. Tortuous retinal vein
3. Retinal artery pressure
4. Ophthalmodynamometry

Correct answer: 1. Dilated retinal vein

Explanation: Ans. Dilated retinal vein